Which of the following is considered as a high-risk susceptibility gene for malignant melanoma?
1. CDKN1A
2. CDKN2A
3. CDKN3A
4. CDKN4A

Correct answer: 2. CDKN2A

Explanation: Ans. B. CDKN2AThe cyclin-dependent kinase (CDK) inhibitor 2A gene (CDKN2A), located on chromosome 9p21, is the best-established high-risk locus for melanoma susceptibility.* In melanoma, tumor suppressors that play a protective role against melanoma are mutated.* CDKN2A encodes via alternative splicing for two proteins involved in cell cycle regulation: pl6/Ink4a and pl4/Arf, both act as tumor suppressors through the Rb and p53 cancer pathways, respectively.* CDKN2A mutations are found in approximately 40% of individuals with familial melanoma.